All are seen in non-proliferative diabetic retinopathy except ?
1. Microaneurysm
2. Neovascularization
3. Hard exudates
4. Macular edema

Correct answer: 2. Neovascularization

Explanation: Ans. is 'b' i.e., Neovascularization Classification of Diabetic retinopathy Nonproliferative Proliferative Background retinopathy Microaneurysm Dot and blot hemorrhage (deep hemorrhage) Hard exudate Macular edema B) Preproliferative retinopathy Cotton-wool spots (soft exudates) Venous beading Extensive hemorrhage lntraretinal intrava scul ar abn ormalities (IRMA Neovasculorization of the disc (NVD) Neovasculaization elsewhere in the retina (NVE) Viffeous hemorrhage Fibrovascular proli feration Trsction retinsl detachment Iris surface neovascularization (rubeosis iridis or neovascular glaacoma)